Hirschsprung colon is due to -
1. Muscle atrophy in muscularis mucosa
2. Loss of intrinsic enteric plexuses
3. Loss of extrinsic nerve supply
4. None

Correct answer: 2. Loss of intrinsic enteric plexuses

Explanation: Ans. is 'b' i.e., Loss of intrinsic enteric plexuses Pathogenesis of Hirchsprung diseaseo The entric neuronal plexuses develops from neural crest cells, which migrate into the bowel wall during development, mostly in a cephalad to caudad direction.o Hirschsprung disease results when the migration of neural crest cells arrests at some point before reaching the anus - inappropriate premature death.o This produces an intestinal segment that lacks both meissner submucosal and aurebach myenteric plexus, o Loss of enteric neural coordination leads to functional obstruction and intestinal dilation proximal to the affected segment.